Which is an antimetabolite
1. Cyclosporine
2. Methotrexate
3. Etoposide
4. Vinblastine

Correct answer: 2. Methotrexate

Explanation: Ans. is 'b' i.e. Methotrexate AntimetabolitesThese are synthetic analogues of normal metabolites related to components of DNA or of coenzymes involved in nucleic acid synthesis.They act by Competition i.e. they "deceive" or "defraud" bodily processes.Instead of the natural substrate they get themselves incorporated, forming dysfunctional molecules.These drugs act on the S phase of the cell cycle, thus only dividing cells are responsiveFolic acid analoguesPurine antagonistsPyrimidine antagonistst Methotrexate* 6 mercaptopurine* S fluorouracil* Pemetrexed* 6thioguanine* Cytarabine